All of the following are true regarding typhoid except?
1. Urinary carriers are more dangerous
2. Vi ab is used for detecting carrier
3. Vi is seen in normal population
4. Urine carrier is associated with anomalies

Correct answer: 3. Vi is seen in normal population

Explanation: Ans. is 'c' i.e., Vi seen in normal population . Vi Antigen is not seen in normal population. It appears only after infection. Carriers . Bacilli presist in the gall bladder or kidney and are eliminated in the feces (fecal carriers) or urine (urinary carrier), respectively. . The development of the carrier state is more common in women and in older age groups ( over 40 yrs) . Carriers are the more frequent source of infection than cases. . Urinary carriage is less frequent but more dangerous than intestinal carrier - Park PSM . Urinary carrier is generally associated with some urinary lesions such as calculi or schistosomiasis. . Presence of Vi antibody indicates the carrier state. . Carriers may be following types :-